Intraductal papillary mucin neoplasm is precursor of-
1. Mucinous cystic neoplasm
2. Mucinous non-cystic neoplasm
3. Ductal adenocarcinoma
4. Solid pseudopapillary neoplasm

Correct answer: 3. Ductal adenocarcinoma

Explanation: Ans. is 'c' i.e., Ductal adenocarcinoma Intraductal papillary mucinous neoplasm (IPMN1 o IPMN is a papillary neoplasm that arises within the main pancreatic duct (MPD) or its branches. o IPMN is characterized by i) Intraductal, papillomatous growth pattern ii) Excessive mucin secretion iii) Excessive mucin secretion results in progressive ductal dilatation and cyst formation o IPMNs are most commonly localized to the head of pancreas, but they may occur at any site along the pancreatic ductal system. o IPMTs are premalignant and may histologically demonstrate areas ranging from hyperplasia to carcinoma within a single tumor. o IPMTs which is positive for MUC 2 (Intestinal-type secretory mucin) may form an adenocarcinoma (ductal adenocarcinoma).